Structures that pass from thorax to abdomen behind the diaphragm are all except
1. Azygos vein
2. Aorta
3. Thoracic duct
4. Greater splanchnic nerve

Correct answer: 4. Greater splanchnic nerve

Explanation: Each crus of the diaphragm is pierced by the greater and lesser splanchnic nervesB D CHAURASIA'S HUMAN ANATOMY LOWER LIMB ABDOMEN AND PELVIS VOLUME 2,SIXTH EDITON Page no:332,333